Steroids are used in transplantation -
1. To prevent graft rejection
2. To prevent infection
3. To speed up recovery
4. To enhance immunity

Correct answer: 1. To prevent graft rejection

Explanation: Ans. is 'a' i.e., To prevent graft rejection